Which of the following anti–cancer drug is NOT 'S'–phase specific ?
1. Methotrexate
2. Mercaptopurine
3. Ifosfamide
4. Thioguanine

Correct answer: 3. Ifosfamide